Hangman's fracture is fracture of C2 -
1. Dens fracture
2. Lamina
3. Pars interarticularis
4. Spinous process

Correct answer: 3. Pars interarticularis